Which of the following releases single wavelength of energy?
1. QTH
2. PAC
3. LED
4. Argon lasers

Correct answer: 4. Argon lasers